Phrynoderma is deficiency of:-
1. Zinc
2. EFA
3. Selenium
4. Iodine

Correct answer: 2. EFA

Explanation: NUTRITIONAL DEFICIENCIES:- Vitamin B2 Zinc Vitamin B6 Vitamin E Chromium Zinc EFA Selenium Increase circumcorneal congestion Acrodermatitis enteropathica Seizures (infant) Progressive external Opthalmoplegia Glucose Intolerance Liver disease, Growth failure Phyrnoderma (toad like skin) - Treated by supplementing B-complex vitamin & safflower oil. Endemic cardiomyopathy (Keshan's disease)